Uniform reduction on the tooth surface may be ensured by the placement of
1. Pins
2. Depth grooves
3. Ledges
4. Bevels

Correct answer: 2. Depth grooves